Apparent mineralocorticoid excess is d/t
1. Sgk gene
2. CYP 11B2
3. CYP11A,
4. 11-13 hydroxysteroid dehydrogenase

Correct answer: 4. 11-13 hydroxysteroid dehydrogenase

Explanation: D i.e. 11 13 hydroxysteroid dehydrogenase Apparent mineralocorticoid excess is d/t inhibition or absence of /V hydroxysteroid dehydrogenase type 2Q AME syndrome & 11 HSD type 2 Invitro (in lab), the mineralocorticoid receptor has much higher affinity for glucocorticoids than the glucocorticoid receptor does, & glucocorticoids are present in large amount in body (vivo). But binding of glucocorticoids to mineralocorticoid receptor (& so production of mineralcorticoid effects by glucocorticoids) is prevented by presence of 11 3 hydroxyl steroid dehydrogenase tye 2 enzyme in mineralocorticoid sensitive tissues. This enzyme leaves aldosterone untouched, but converts cortisol to cortisone & corticosterone to its 11 oxy derivatives. These 11 oxy derivatives do not bind to receptor. If 11 hydroxysteroid dehydrogenase type 2 is congenitally absent or inhibited by prolonged ingestion of licorice (containing glycyrrhetinic), cortisol has marked mineralocorticoid effects resulting in apparent mineralocorticoid excess (AME syndrome. Patient with AME have clinical picture of hyper aldosteronism because cortisol is acting on their mineralo corticoid receptors, & their plasma aldosterone levels and plasma rennin activity is low.